Rate of the cooling helps in determining-
1. Time of death
2. Manner of death
3. Place of death
4. Cause of death

Correct answer: 1. Time of death

Explanation: Medical legal importance of algor mortis :-

i) It is a sign of death.
ii)Time since death can be determined.